Which of the following features of a permanent maxillary lateral incisor aids in distinguishing it from a mandibular lateral incisor?
1. Flattened root
2. More pronounced lingual fossa
3. Thinner incisal ridge
4. Sharper proximal incisal angles

Correct answer: 2. More pronounced lingual fossa